All the following are true about diploic vein except
1. Lined by single Layer of endothelium suppod by elastic tissue
2. Present in cranial bones
3. Valveless/thin walled
4. Develop by 8th week of IUL

Correct answer: 4. Develop by 8th week of IUL

Explanation: D i.e., Develops by 8th week of IUL The skull is unilamellar at birth with out any diploe and diploic veins which start to develop at around 2 years after birth.